Which of the following structures of the pericardium is insensitive to pain -
1. Fibrous pericardium
2. Parietal layer of serous pericardium
3. Visceral layer of serous pericardium
4. All of the above

Correct answer: 3. Visceral layer of serous pericardium

Explanation: Ans. is 'c' i.e., Visceral layer of serous pericardium o The visceral layer of serous pericardium is insensitive to pain.# The visceral layer of the serous pericardium is supplied by the sympathetic trunk and branches of the vagus nerves which are pain insensitive structures.# Fibrous pericardium and parietal layer of the serous pericardium are supplied by the phrenic nerve and are pain sensitive.o The pain of pericarditis typically originates only from the pain sensitive parietal layer (lower two thirds) and is transmitted by the phrenic nerve, pain from the heart (angina) originates in the muscles and vessels and is transmitted by sympathetic nerves.